All of the following can be the complications of a malunited Colles fracture except :
1. Rupture of flexor pollicis longus tendon
2. Reflex sympathetic dystrophy (RSD)
3. Carpal tunnel syndrome
4. Carpal instability

Correct answer: 1. Rupture of flexor pollicis longus tendon

Explanation: Complications of Colle's fracture :

Complications in college's fracture are high (50 - 60%). Following complications may occur

1) The stiffness of fingers and joints :

The stiffness of finger, wrist and shoulder is the most common avoidable complication of Colle's fracture.

2) Malunion :

It is the second most common complication.
It results in dinner fork deformity.


Sudek's osteodystrophy (reflex sympathetic dystrophy).
Carpal tunnel syndrome.
Carpal instability.
Rupture of the extensor pollicis longus tendon.
Frozen shoulder syndrome.
TFCC injury.
Non - union is very rare.